All are true regarding Bartter syndrome except?
1. Hypokalemic alkalosis
2. Hypomagnesuria
3. Congenital SN hearing defect
4. Associated with Batin mutation

Correct answer: 2. Hypomagnesuria

Explanation: Bartter's syndrome has hypomagnesemia secondary to loss in urine as a consequence of defect in TAL of loop of Henle Bartter' syndrome is a rare disease, presents in the neonatal period or early childhood with polyuria, polydipsia, salt craving, and growth retardation. Blood pressure is normal or low. Metabolic abnormalities include hypokalemia, hypochloremic metabolic alkalosis, decreased urinary concentrating and diluting ability, hypercalciuria with nephrocalcinosis